The reaction between antibody and soluble antigen is demonstrated by -
1. Agglutination
2. Precipitation
3. Complement fixation test
4. Hemagglutination test

Correct answer: 2. Precipitation

Explanation: When a soluble antigen companies with its antibody in the presence of electrolyte at a suitable temp & pH the antigen-antibody complex forms an insoluble precipitate. Ref: Ananthanarayan & Parker's textbook of microbiology 9th edition pg:105